All the following are adverse outcomes associated with threatened abortion except
1. Placenta previa
2. Preterm birth
3. Manual removal of placenta
4. Fetal macrosomia

Correct answer: 4. Fetal macrosomia

Explanation: Adverse Outcomes That are Increased in Women with Threatened AbortionMaternalPerinatalPlacenta previaPlacental abruptionManual removal of placentaCesarean deliveryPROMPreterm birthLow-birthweightFetal growth restrictionFetal and neonatal deathReference: William's Obstetrics; 25th edition; Chapter 18; Abortion